Atomic number of Tungsten is
1. 74
2. 53
3. 63
4. 64

Correct answer: 1. 74

Explanation: Tungsten -74
Iodine - 53